Vitamin K injection given to newborn within 1 hour of birth
1. Prevents necrotizing enterocolitis
2. Prevents hemorrhagic disease of newborn
3. Prevents neonatal seizures
4. Prevents neonatal tetanus

Correct answer: 2. Prevents hemorrhagic disease of newborn

Explanation: Vitamin K dependent hemorrhagic disease of newborn is prevented by vitamin - K injection.